Sunray appearance and Codmans triangle are radiological features of which of the following tumors?
1. Osteosarcoma
2. Ewings Sarcoma
3. Chondrosarcoma
4. Multiple Myeloma

Correct answer: 1. Osteosarcoma

Explanation: Ans. is 'a' i.e., Osteosarcoma X-ray AppearanceTumourOnion Peel AppearanceEwings SarcomaSoap Bubble appearanceGCTCodmans TriangleOsteosarcomaSun Burst AppearanceOsteosarcomao Codman's triangle and sunray appearance are typical of osteosarcoma.o However, you should keep in your mind following very important facts: -# Sunray (sunburst) appearance and codman's triangle indicates periosteal reaction (periosteal new bone formation).# Both these are typical of osteosarcoma but may also occur in other rapidly growing bone tumors (Ewing's sarcoma), and infection (osteomyelitis).# Similarly, onion peel appearance indicates periosteal new bone-formation and is typical for Ewing's sarcoma. But this can also occur in oseosarcoma and osteomyelitis.# The crux is that, aggresively growing tumors and infection stimulate the periosteum which then react by forming new bone, (therefore it is called periosteal reaction) which may take any of the above form.o Sun-ray (sunburst) appearance and Codman's triangle: -# Typical features of osteosarcoma.# May also be seen in Ewing's sarcoma, osteomyelitis, o Onion-peel appearance# Typical feature of Ewing's sarcoma.# May also be seen in osteosarcoma, and osteomyelitis